True regarding battered baby syndrome:
1. Stab injury
2. Multiple injuries at different ages
3. Gun shot wound
4. None of these

Correct answer: 2. Multiple injuries at different ages

Explanation: Ans. (B). Multiple injuries at different ages(Ref: The essentials of forensic medicine and toxicology; Dr. KS Narayana Reddy, 33rd edition; Page no: 445)Important clinical Features of battered baby syndromeFractures and injuries will be at different stages of healingMost characteristic lesion-laceration of mucosa inside the upper lip and often tear of frenulum notedInfantile whiplash syndrome- shaking a child causes subdural hematoma and intra ocular bleeding